During development, all the antigens of self are introduced to thymic cells in-order to be removed to prevent autoimmunity. Which of the following genes is involved in the process?
1. NOTCH1
2. AIRE
3. RB gene
4. CPK gene

Correct answer: 2. AIRE

Explanation: Ans. (b) AIRE(Ref: R 9/p 213)The process in the questions refers to Central tolerance, where the self reacting T cells are presented to the thymus to prevent autoimmunity. A protein called AIRE (autoimmune regulator) stimulates expression of few "peripheral tissue-restricted" self antigens in the thymus. This causes deletion of immature T cells specific for these antigens and so is able to prevent autoimmunity.